All of the following are vasodilators except:
1. Methyl dopa
2. Nitroprusside
3. Hydralazine
4. Diazoxide

Correct answer: 1. Methyl dopa